Spermatogonia divide by which cell division?
1. Meiosis
2. Mitosis
3. Both meiosis and mitosis
4. Maturation

Correct answer: 2. Mitosis

Explanation: There are three types of spermatogonia in humans Type A ( dark) cells which are reserve spermatogonial stem cells which do not usually undergo active mitosis Type A ( pale) cells which are spermatogonia stem cells that undergo active mitosis to produce type B cells Ref: Gray's 39e/p-210-220